Integration of viral genome into host cell chromosome can lead to -
1. Malignancy
2. Latency
3. Altered growth
4. All of the above

Correct answer: 4. All of the above

Explanation: Integration of viral genomes into host cell chromosome can cause an alteration in :

i) Host cell surface
ii) Metabolic function
iii) Cell growth and replication pattern
iv) Malignant transformation
v) Latent infection